Not a cutaneous manifestation of TB:
1. Lupus pernio
2. Lupus vulgaris
3. Erythema nodosum
4. Scrofuloderma

Correct answer: 1. Lupus pernio

Explanation: Lupus pernio is a skin manifestation of Sarcoidosis.
 
Sarcoidosis does not involve kidney.
 
Sarcoidosis mimics like Berylliosis.